Weight gain is seen in all except -
1. Cushings syndrome
2. Hypothyroidism
3. Pheochromocytoma
4. Insulinoma

Correct answer: 3. Pheochromocytoma

Explanation: Ans. is 'c' i.e., Pheochromacytoma o Pheochromocytoma causes weight loss.Specific syndrome associated with obesities are:o Cushings syndromeQo HypothyroidismQo InsulinomaQo CraniopharyngiomaQ and other disorders involving hypothalamus.o Pheochromocytoma does not cause weight gain, it causes weight losso Endocrine and metabolic causes.of waight losso HyperthyroidismQo Diabetes MellitusQo PheochromocytomaQo Adrenal InsufficiencyQ